Oxytocin antagonist is -
1. Nitrates
2. Sultraban
3. Atosiban
4. Rimonabant

Correct answer: 3. Atosiban

Explanation: Ans. is 'c' i.e., Atosiban o Atosiban is a peptide analogue of oxytocin that acts as antagonist at oxytocin receptors.o It has been found to suppress premature uterine contractions and postpone preterm delivery with fewer cardiovascular and metabolic complications than beta 2 adrenergic agonists.